Which of the following drug will cause hypertrophic pyloric stenosis is __________
1. Vancomycin
2. Nefidipine
3. Erythromycin
4. Phenyl propanolamine

Correct answer: 3. Erythromycin

Explanation: The usual age of presentation is approximately 2 - 6 weeks of life. Approximately 95% of infantile hypertrophic pyloric stenosis cases are diagnosed in those aged 3-12 weeks. In addition, premature infants have a delayed diagnosis secondary to low birth weight and atypical presentation. Reference: GHAI Essential pediatrics, 8th edition